Esotropia is associated with
1. Myopia
2. Aphakia
3. Hypermetropia
4. Presbyopia

Correct answer: 3. Hypermetropia

Explanation: Esotropia - hypermetropia.
Exotropia - myopia.